True about OCG is – a) First done by Graham Cole in 1942b) Dye ingested at rate of 1 ml/kgc) USG has replaced itd) Dye used is telepaque
1. ab
2. cd
3. bd
4. ac

Correct answer: 2. cd

Explanation: OCG was introduced by Graham and Cole in 1924 (not in 1942).
Two doses of 3 gm of dye is given --> first dose 14 hours, and second dose 3-4 hours prior to post-contrast examination.
OCG has largely been replaced by USG
Dye most commonly used is Na/Ca Ipanoic acid (Telepaque).